Prolonged salmonella septicemia is caused by -
1. S. enteritidis
2. S. cholerae-suis
3. S. typhimurium
4. S. typhi

Correct answer: 2. S. cholerae-suis